Which is NOT a documentation test for ovulation in women of reproductive age?
1. Fern test
2. Basal body temperature
3. Hysteroscopy
4. LH surge

Correct answer: 3. Hysteroscopy

Explanation: Methods to document ovulation: Luteinizing Hormone Monitoring Documentation of the LH surge represents a remarkable reproducible method of predicting ovulation. Ovulation occurs 34 to 36 hours after the onsof the LH surge and about 10 to 12 hours after the LH peak. Basal Body Temperature Midluteal Serum Progesterone Ultrasound Monitoring Ovulation A ferning pattern is seen when periovulatory cervical mucus is spread and dried on a microscope slide.